A single retrocardiac air-fluid level on a chest radiograph typically implies the presence of:
1. Sliding hiatal hernia
2. Gastric volvulus
3. Pericardial effusion
4. Lung abscess

Correct answer: 1. Sliding hiatal hernia

Explanation: Ref: Canadian Asso Radiology journal, 1986Explanation:Sliding hiatus hernia is the most common type of hiatus herniaThe GE junction is displaced upwardsThe gastric fundus is also displaced above the diaphragm - retrocardiac mass with air fluid levelA differential (2 airfluid levels at different interfaces) retrocardiac air-fluid level - gastric volvulus.Pericardial effusion produces water bottle' appearance of cardiac silhouette on CXRLung abscess produces a cavity with airfluid level